Which of the following is inhibited by Aspirin:
1. Cyclo oxygenase
2. Lipo oxygenase
3. Phospholipase
4. None of the above

Correct answer: 1. Cyclo oxygenase

Explanation: Ans. A: Cyclo Oxygenase Aspirin also has an antiplatelet effect by inhibiting the production of thromboxane by inhibiting coxl and tx-synthetase, which under normal circumstances binds platelet molecules together to create a patch over damage of the walls within blood vessels. Because the platelet patch can become too large and also block blood flow, locally and downstream, aspirin is also used long-term, at low doses, to help prevent heart attacks, strokes, and blood clot formation in people at high risk for developing blood clots